A 40 yrs old man, was admitted with fracture shaft femur following a road traffic accident. On 2nd day he became disoriented. He was found to be tachypnoeic, and had conjunctival petechiae. Most likely diagnosis is:
1. Pulmonary embolism
2. Sepsis syndrome
3. Fat embolism
4. Hemothorax

Correct answer: 3. Fat embolism

Explanation: Patient with history of fracture of long bone becomes tachypnoeic on the 2nd day and development of conjunctival petechiae indicates fat embolism. Ref: Rockwood and Green's 'Fractures in Adult', 2nd Edition, Page 482